Which of the following feature is not seen in Prader Willi syndrome?
1. Obesity
2. Intellectual disability
3. Ataxia
4. Hypotonia

Correct answer: 3. Ataxia

Explanation: Ans. is 'c' i.e., Ataxia Prader willi syndrome* It is due to paternal genomic imprinting in which there is deletion on paternal chromosome 15.* They are characterized by hypotonia, obesity, short stature, intellectual disability, hypogonadism, hyperphagia, and short hand and feet.* There is decrease in GnRH, LH, FSH and GH. Ghrelin levels are raised.